Ocular muscle involved in Marcus Gun jaw winking phenomenon is ?
1. Orbicularis oculi
2. Levator palpebrae
3. Medial rectus
4. Lateral rectus

Correct answer: 2. Levator palpebrae

Explanation: Ans. is 'b' i.e., Levator palpebrae The jaw-winking synkinesis (of Marcus Gunn) : In these rare cases one levator palpebrae is thrown into spasm during eating, and sometimes on reading aloud. The upward lid movement is especially associated with lateral movements of the jaw, due to action of the pterygoid muscles, which are innervated by the fifth nerve. In most cases, but not all, there is slight ptosis of the affected lid. Patients requiring surgery are offered bilateral levator transection plus a bilateral frontalis suspension.